Tertiary hyperparathyroidism is-
1. High PO4 level with metastasis
2. Secondary hyperparathyroidism with CRF
3. Primary hyperparathyroidism with low Ca" levels
4. Secondary hyperparathyroidism with chief cell adenoma

Correct answer: 4. Secondary hyperparathyroidism with chief cell adenoma

Explanation: Ans. is 'd' i.e., Secondary hyperparathyroidism with chief cell adenoma o Davidson states "In very small proportion of cases of secondary hyperparathyroidism continuous stimulation of the parathyroid may result in adenoma formation and autonomous PTH secretion. This is known as tertiary hyperparathyroidism".